"Macropolycytes" in peripheral smear is a feature of which of the following red cell disorders?
1. Hereditary spherocytosis
2. Iron deficiency anemia
3. Sickle cell anemia
4. Megaloblastic anemia

Correct answer: 4. Megaloblastic anemia

Explanation: Macropolycytes (large, hypersegmented polymorphonuclear cells/neutrophils) are a feature of megaloblastic anemia.